After mixed dentition stage the arch length from first molar to first molar usually: (Or) The arch length from mixed dentition to permanent dentition
1. Remains same
2. Increases
3. Decreases
4. Doubles

Correct answer: 3. Decreases